Critical age for development of fixation reflex is
1. 2-4 months
2. 6-8 months
3. 1-2 years
4. 4-6 years

Correct answer: 1. 2-4 months

Explanation: Important milestones in development of eye : Postnatal period Fixation starts developing in first month and is completed in 6 months. Macula is fully developed by 4-6 months Fusional reflexes, stereopsis and accommodation are well developed by 4-6 months Cornea attains normal adult diameter by 2 years of age. Lens grow throughout life Reference : A.K.Khurana; 6th edition; Page no:13